Risk of subsequent preterm delivery with previous two preterm deliveries at < 34 weeks is?
1. 15%
2. 20%
3. 30%
4. 40%

Correct answer: 4. 40%

Explanation: Ans. D. 40%Recurrent Spontaneous Preterm BirthsAccording to Prior OutcomeBirth OutcomeSecond Birth <=34 Weeks (%)First birth >=35 weeks5First birth <=34 weeks16First and second birth <=34 weeks41